Shortest acting non depolarizing muscle relaxant
1. Mivacurium
2. Vercuromium
3. Atracurium
4. Succinyl choline

Correct answer: 1. Mivacurium

Explanation: Non depolarising (competitive) 1)Long Acting - pancuronium,pipecuronium 2) Intermediate Acting-vecuronium,rocuronium,atracurium 3) Short Acting - Mivacurium